Antihypertensive which can be used in patients with gout and diabetes mellitus is:
1. Thiazide
2. Enalapril
3. Propranolol
4. Diazoxide

Correct answer: 2. Enalapril